The mean setting time of MTA is
1. 135 +/- 5 min
2. 145+/- 5 min
3. 155+/-5 min
4. 165+/-5 minutes

Correct answer: 4. 165+/-5 minutes

Explanation: The maen setting time of MTA is 165+/- 5 mins . GMTA exhibits significantly higher initial and final setting times than WMTA.